Triple assessment of the breast includes all the following except?
1. Clinical assessment
2. Imaging
3. Histology
4. Laboratory investigation

Correct answer: 4. Laboratory investigation

Explanation: Triple assessment of the breast includes

History and clinical examination
Imaging
Histology